The mechanism of action of the exotoxin produced by Corynebacterium diphtheriae can be characterized by which of the following?
1. Acting as a superantigen that binds to MHC class II protein and the T-cell receptor
2. Blocking the release of acetylcholine causing anticholinergic symptoms
3. Blocking the release of glycine
4. Inhibits protein synthesis EF-2 adenosine diphosphate (ADP) ribosylation.

Correct answer: 4. Inhibits protein synthesis EF-2 adenosine diphosphate (ADP) ribosylation.

Explanation: C. diphtheriae Produces a potent exotoxin encoded by a lysogenic beta-prophage. The toxin has a mol. Wt of 61,150 daltons 2 parts; A: 21,150 & B:40,000; A: active; B: binding Following proteolytic cleavage, the A segment is released into the host cell where it inhibits protein synthesis ADP ribosylation of elongation factor/ EF-2 (which is a t RNA translocase). Inhibition of protein synthesis disrupts normal cellular physiologic functions that are believed to be responsible for the necrotizing and neurotoxic effects of diphtheria toxin.